Which of the following is the action of tensor fasciae latae?
1. Abduction of hip
2. Flexion of hip
3. Extension of knee
4. All the above

Correct answer: 4. All the above

Explanation: Tensor fasciae latae extends from iliac crest to iliotibial track. It is also involved in medial rotation of hip. Tensor fascia latae is innervated by the superior gluteal nerve, L4, L5 and S1. The basic functional movement of tensor fascia latae is walking. The tensor fascia lata is heavily utilized in horse riding, hurdling and water skiing.